Treatment of choice in duct papilloma of breast is ?
1. Simple mastectomy
2. Microdochectomy
3. Local wide excision
4. Chemotheapy

Correct answer: 2. Microdochectomy

Explanation: Ans is 'b' i.e., Microdochectomy Duct Papilloma Intraductal papillomas are true polyps of epithelium-lined breast ducts. They are benign lesions. They are not precancerous lesions. Mostly they are solitary and located under the areola (within 4-5 cm of nipple orifice) In general these lesions are less than 1 cm in size but can grow large to 4 to 5 cm. Most common presentation is bloody discharge from the nipple. Treatment - complete excision of the duct involved along with the tumor known as Microdochectomy.